Hormones decreased in PCOD
1. Androgens
2. Progesterone
3. Estrone
4. Insulin

Correct answer: 2. Progesterone

Explanation: In PCOD, Progesterone is decreased due to anovulation.